Shortest acting local anaesthetic
1. Procaine
2. Xylocaine
3. Bupivacaine
4. Chloroprocaine

Correct answer: 4. Chloroprocaine